All the following antimicrobial agents are used topically except –
1. Clotrimazole
2. Griseofulvin
3. Nystatin
4. Miconazole

Correct answer: 2. Griseofulvin

Explanation: Griseofulvin is used systemically for dermatophytosis. It is ineffective topically.
Polyene

Amphotericin B → Topically as well as systemically (oral, iv intrathecally.
Nystatin, Hamycin, Natamycin (Pimaricin) → Topically.

Hetrocyclic benzofuran

Griseofulvin → Systemically (oral)

Imidazoles

Clotrimazole, econazole, miconozole, oxiconazole → Topical.
Ketoconazole Systemically (oral) and topically.

Triazoles

Fluconazole, voriconazole → systemically (iv., oral) and itraconozole → systemically (orally).

Allylamine

Terbinafine → Systemically (oral) and topically.

Note

Amphotericin B, ketoconazole and terbinafine are used systemically as well as topically.